All regarding HSP is true except – a) Hematuria resolve without treatmentb) Steroids best treat skin lesionsc) Self limiting arthralgiad) Excellent prognosise) Purpura fulminans
1. ab
2. be
3. bc
4. ce

Correct answer: 2. be

Explanation: HSP usually has mild glomerulonephritis, which usually resolves spontaneously without treatment.
Glucocorticoids decrease arthralgia and abdominal pain but have no role in skin or renal disease.
Arthralgia is self limiting, non-deforming but incapaciating.
Overall prognosis of HSP is good.
Purpura fulminans is a hemorrhagic condition usually associated with sepsis or previous infection.